Whiplash injury of spine is due to
1. Hyperflexion
2. Hyperextension
3. Rotation
4. Side ward traction

Correct answer: 2. Hyperextension

Explanation: Whiplash injury This injury classically occurs in an occupant of a vehicle due to sudden acceleration which causes sudden extension followed by flexion. There may be fracture dislocation of cervical vertebrae. Both accrleaccele and deceleration injuries are included in the category of whiplash injury. Hyperextension injuries are common. Whiplash injuries are common in front seat occupants. Ref: FORENSIC MEDICINE AND TOXICOLOGY DR PC IGNATIUS THIRD EDITION PAGE 178